Regarding extra uterine endometriosis, False is
1. It is hormone dependent
2. May involve pleura and lung
3. Commonest site is ovary
4. Ovary contains cyst with clear fluid

Correct answer: 4. Ovary contains cyst with clear fluid

Explanation: Endometriosis-Incidence is 10%. It is defined as the presence of functioning uterine glands and stroma in any site outside the uterus. It is responsive to ovarian hormones.Pathologically characterized by red disk, bluish or blackish cystic areas-Scarring gives the puckered look.Most important finding is chocolate cysts of the ovary (2cm in diameter to size of fetal head) with hemosiderin-laden pseudoxanthoma cells.